Tricyclic anti depressant are contraindicated in -
1. Glucoma
2. Brain tumor
3. Bronchial asthma
4. Hypertension

Correct answer: 1. Glucoma

Explanation: Due to anticholinergic action, TCAs should be avoided in patients with glaucoma and prostatic hypertrophy.